Which of the following intravenous anaesthetic agent causes decrease in postoperative nausea and vomiting :
1. Propofol
2. Thiopentone
3. Etomidate
4. Ketamine

Correct answer: 1. Propofol

Explanation: Propofol is known to posses direct antiemetic effects. However its mechanism of action in this context still not well understood. The possible effects of Propofol on the cerebral cortex, its interactions with the dopaminergic and serotonergic systems.